Resin teeth are
1. High in fracture toughness
2. Dimensionally stable
3. Not indicated with diminished inter arch distance
4. Susceptible to crazing with time

Correct answer: 1. High in fracture toughness